A codon consists of -
1. One molecule of amono acyl-t RNA
2. Two complementary base pairs
3. 3 consecutive nucleotide units
4. 4 individual nucleotides

Correct answer: 3. 3 consecutive nucleotide units

Explanation: C i.e. 3 consecutive nucleotide units